In the mini-lap procedure, the most common method successfully used is:
1. Uchida's
2. Pomeroy's
3. Irving's
4. Parkland's

Correct answer: 2. Pomeroy's

Explanation: Ans- B (Pomeroy's) Ref: DC Dutta s Textbook of Gynaecology 6th edition, pg 476Explanation:Tubectomy MethodsA. Abdominal MethodsConventional laparotomy - abdominal incision 3-5 cmsMinilaparotomy - abdominal incision 2 - 2.5 cmsTechniquesModified Pomeroy'so Recommended by Govt, of Indiao Most common methodo 1-1.5 cms tube excisedo isthmus portion of the tubeo No. 1-0 Chr. catgut used for ligation of tubeo Adv. -Failure rate : 0.1- 0.5%Simple procedureParkland method - another commonly employed method with similar success ratesOther uncommon methods o Uchida methodo Irving's methodo Madlener methodo Kroeners methodLaparoscopySingle / double punctureC/I during PUERPERIUMFallope ring (silicon rubber with 5% barium sulphate)Filshie dip (titanium lined with silicon rubber)Only 4 mm of tube is destroyedFai1ure rate -0.1 %Chances of tubal recanalisation - BEST with filshie clips laparoscopic sterilizationHulka - Clemens spring clipElectrosurgical method - bipolar cautery preferred over unipolarVaginal MethodsThrough posterior colpotomy incision.Hysteroscopic electrocoagulation of tubes.ESS URE - 4 cms long. 2 mm dm microcoil made of nickel titanium steel alloy containing polyethylene fibres within it.Introduced into the conical end of tubed under hysteroscopy guidance.Tubes blocked permanently by scar tissue growing into the device.Additional contraceptive method used for first 3 months.